In colposcopy, following are visualized except :
1. Upper 2/3rd endocervix
2. Lower 1/3rd endocervix
3. Vault of vagina
4. Lateral fornix

Correct answer: 1. Upper 2/3rd endocervix

Explanation: Upper 2/3rd endocervix Colposcopy is a method to evaluate the changes in the terminal vascular network of the cervix, the transformation zone, Vagina and Fornix. In the cervix, upper 2/3"i of endocervix is not visualized by colposcopy (the maximum limit being 5 mm above the canal). A colposcope is a binocular microscope producing magnification of 5 - 15 times.deg Colposcopy is done after application of 3 - 5% acetic acid, to the abnormal area.deg It can detect cervical dysplasias, metaplasia and carcinoma in situ.deg Indications (very important) : In case of abnormal pap smear cytologydeg. To locate abnormal areas.deg To obtain directed biopsies.deg Conservative therapy under colposcopic guidance.deg For follow up of patients treated conservatively.deg Some other Indications : In case of unexplained intermenstrual or post coital bleeding. History of Inutero Diethylstilbestrol exposure. Vulva' or vaginal neoplasia. For more details on Colposcopy, see Chapter 12 B - CIN and Ca Cervix.